Most common cause of seizure in newborn on day 1 is:
1. Hypoxia
2. Hypocalcaemia
3. Hypoglycemia
4. Intrauterine infections

Correct answer: 1. Hypoxia

Explanation: ANSWER: (A) HypoxiaREF: Neurology of the newborn, By Joseph J. Volpe, page 216, http://www.ucsfbenioffchildrens.org/pdf/manuals/48_S eizures.pdf'Hypoxic ischemic encephalopathy is the single most common cause of neonatal seizure in both term and preterm"Common CausesUsual age of onsetPretermTermHypoxic-ischemic encephalopathy< 3 days++++++Intracranial infection<3 days++++Intrauterine Infection (CMV, Toxoplasma., HIV, Rubella, Syphilis)<3 days++++Developmental defects (Neuro cutaneous Disorders like-Tuberous Sclerosis Complex, Incontinentia Pigmenti)Variable++++Hypoglycemia< 2 days++Hypocalcemia (Early-onset)2-3 days++Hypocalcemia (Late-onset)> 7 days++Drug Withdrawal<3 days++Intraventricular hemorrhage<3 days++RarePrimary subarachnoid bleed<1 dayRare++